A 40 years old patient came to surgery OPD with swelling in the left lateral aspect of the neck. On examination, the swelling was painless, can be moved side to side but not up and down. No history of TB. Blood workup included thyroid profile and CBC which came to be normal. Ultrasound of swelling was performed and showed a highly vascular hypoechoic mass lesion anteriorly to the sternocleidomastoid muscle. Subsequently, a CT angio was performed. what is the Diagnosis ?
1. Fibromatosis colli
2. Tubercular lymph node
3. Soft tissue sarcoma
4. Carotid body paraganglioma

Correct answer: 4. Carotid body paraganglioma

Explanation: Lyre sign- refers to the splaying of the internal and external carotid by a carotid body tumor. Fibromatosis colli is a rare form of infantile fibromatosis that occurs within the sternocleidomastoid muscle. USG is IOC.